In a 2 months old infant undergoing surgery for biliary atresia, you would avoid one of the following anaesthetic -
1. Thiopentone
2. Halothane
3. Propofol.
4. Sevoflurane.

Correct answer: 2. Halothane

Explanation: Ans. is 'b' i.e. Halothane Among the anesthetics given in the option, only halothane is known to cause liver toxicity. So Halothane should be avoided in a patient undergoing surgery for Biliary atresia (as the liver is already damaged).